Plasma drug monitoring is done for
1. Drug with high safety margin
2. Drug with low safety margin
3. Drug with high therapeutic index
4. None

Correct answer: 2. Drug with low safety margin

Explanation: The difference between the usual effective dose and the dose that causes severe or life-threatening side effects is called the margin of safety.Ref: Essentials of Medical Pharmacology KD TRIPATHI 7th edition Page no: 55